Which of the following is an amplifying host for Japanese encephalitis:
1. Pig
2. Herons
3. Horse
4. Egrets

Correct answer: 1. Pig

Explanation: Japanese Encephalitis Virus- Amplifying host- Pig Reservoir- Egrets, Herons Vector- Culex tritaeniorhynchus (Most common in worldwide) C.vishnui (Most common in India)